Lesion of ventrolateral spinal cord will show:
1. Loss of proprioception on the same side
2. Loss of proprioception on the contralateral side
3. Loss of pain and temperature on same side
4. Loss of pain and temperature on contralateral side

Correct answer: 4. Loss of pain and temperature on contralateral side